The Common site of hematopoiesis in the fetus is
1. Liver
2. Spleen
3. Bone marrow
4. Gut

Correct answer: 1. Liver

Explanation: *Hematopoiesis from 3rd month of gestation till birth: Liver*Hematopoiesis from birth up to puberty: Whole skeleton*Hematopoiesis after puberty: Axial skeleton(Ref: Robbins 8/e p590)